'Hospice' means
1. Euthanasia for cancer patients
2. Association of colostomy patients in U.S.A
3. Special group helping the old & terminally ill patients
4. Mercy killing of patients in coma

Correct answer: 3. Special group helping the old & terminally ill patients

Explanation: Hospice is a facility where the most urgent objective is to provide a caring environment for meeting the physical and emotional needs of the terminally ill. Hospice care focuses on providing comfort & provides, intensive caring with the goal of helping terminally ill people to live well, until they die Dont get this to be confused with Euthanasia or Mercy killing.